In type -II respiratory failure, there is
1. Low p02 and low pCO2
2. Low p02 and high pCO2
3. Normal p02 and high pCO2
4. Low p02 and normal pCO2

Correct answer: 2. Low p02 and high pCO2

Explanation: Type ll respiratory failure occurs as a result of alveolar hypoventilation and results in the inability to eliminate carbon dioxide effectively.It can be caused by drug overdose,brainstem injury,hypothyroidism,myasthenia gravis,Guillain -Barre syndrome,electrolyte derangements,myopathy,etc.So there will be hypoxia and hypercapnia. Ref:Harrison's medicine-18th edition,page no:2200.